Sequestrum means:
1. It is necrosed bone, separated from its surrounding
2. It is a broken tooth piece
3. It is new bone formed in osteomyelitis
4. It is necrosed tooth

Correct answer: 1. It is necrosed bone, separated from its surrounding